An alcoholic was found to be dead by cardiac arrest due to hydrocution. Hydrocution is:
1. Electrocution in water
2. Dry drowning
3. Drowning in cold water
4. Postmortem immersion

Correct answer: 3. Drowning in cold water

Explanation: Hydrocution or Immersion syndrome or Submersion inhibition: Death results from cardiac arrest due to vagal inhibition as a result of, Cold water stimulating the nerve endings of the surface of the body Water striking the epigastrium Cold water entering eardrums, nasal passages, and the pharynx and larynx which cause stimulation of nerve endings of the mucosa Ref: The Essentials of Forensic Medicine and Toxicology, 27th edition, Page 324.